Ovarian fossa is formed by all except?
1. Obliterated umbilical artery
2. Internal iliac artery
3. Ureter
4. Round ligament of ovary

Correct answer: 4. Round ligament of ovary

Explanation: Each ovary lies in ovarian fossa on lateral pelvic wall which is bounded :? Anteriorly: Obliterated umbilical artery Posteriorly: Ureter and internal iliac artery